Influenza pandemic is mainly caused by-
1. Type A
2. Type B
3. Type C
4. All

Correct answer: 1. Type A

Explanation: All known pandemics caused by influenza A strains. Ref:PARK'S TEXTBOOK OF PREVENTIVE AND SOCIAL MEDICINE 23rd edition , Page: 153